Normal platelet count is/are seen in:
1. D1C
2. Shaken baby syndrome
3. Microangiopathic hemolytic anaemia
4. Splenomegaly

Correct answer: 2. Shaken baby syndrome

Explanation: Ans B "Non-immunological dysfunction casuingThrombocytopenia: Microangiopathic hemolytic anaemia - Robbins 7th/651 (table)"Kasabach-Merritt syndrome (KMS) is defined as profound thrombocytopenia Q related to platelet trapping within a vascular tumor"- Wiliam's Haematology 7th/"Shaken baby syndrome (SBS) is a form of physical child abuse that occurs when an abuser violently shakes an infant or small child,creating a whiplash-type motion that causes acceleration- deceleration injuries. It is common for there to be no external evidence of trauma"-en.wiki_wikipedia.arg_sbsShaken baby syndrome (SBS) is notgiven in list of thrombocytopenia in any' above referencesTable (Wiliam'sHaematology 7th/818)Classification of ThrombocytopeniaPseudo-thrombocytopeniaPlatelet agglutinationPlatelet satellitismAntiphospholipid antibodiesGplla-Illa antagonistsGiant plateletsMiscellaneous associationsimpaired platelet productionCongenita] Sebastian syndrome Epstein syndrome May- Hegglin anomalyM editerranean macrothrombocytopeniaFamilial platelet syndrome with predisposition to acute myelogenous leukemiaThrombocytopenia with linkage to chromosome 10Paris-Trousseau syndromeThrombocytopenia with radial synostosisAutosomal recessiveCongenital amegakaryocytic thrombocytopeniaThrombocytopenia with absent radius (TAR) syndromeBernard-Soufier syndromeGray platelet syndromeX-linked thrombocytopeniasWiskott-Aldrich syndromeX-linked thrombocytopeniaX-linked thrombocytopenia with dyserythrocytosisAcquiredMarrow infiltrationinfectious disease : Cytomegalovirus, HIV& ParvovirusRadiotherapy and chemotherapyFolic acid and vitamin deficiencyParoxysmal nocturnal hemoglobinuriaAcquired aplastic anemiaMyelodysplastic syndromesAcquired pure megakaryocytic thrombocytopeniaAccelerated platelet destructionImmune-mediated thrombocytopeniaAutoimmune thrombocytopenic purpuraIdiopathicSecondary (infections, pregnancy-related, lymphoprolifera- tive disorders, collagen vascular diseases)Alloimmune thrombocytopenia: Neonatal thrombocytopenia Posttransfusion purpuraNon immune thrombocytopeniaThrombotic microangiopathiesThrombotic thrombocytopenic purpura and hemolytic uremic syndromeDisseminated intravascular coagulopathyKasabach-Merritt syndromePlatelet destruction by artificial surfacesHemopbagocytosisAbnormal platelet distribution or poolingSplenomegalyHypersplenismHypothermiaMassive transfusionDrug-induced thrombocytopeniaHeparin-induced thrombocytopenia (HIT)Other drug-induced thrombocytopenias